Which of the following rubber dam frame does not interfere while taking radiograph?
1. Metal frame
2. Plastic frame
3. Young's frame
4. None of the above

Correct answer: 2. Plastic frame

Explanation: Because it is shield-shaped and made up of radiolucent material.